The floor of inguinal canal is formed by:
1. Aponeurosis of the Obliquus externus
2. The reflected part of inguinal ligament, inguinal aponeurosis, & transversalis fascia
3. The arched fibers of Obliquus internus and Trans- versus abdominis
4. The transversalis fascia with the inguinal ligament and lacunar ligament

Correct answer: 4. The transversalis fascia with the inguinal ligament and lacunar ligament

Explanation: Ans. d (The transversalis fascia with the inguinal ligament and lacunar ligament). (Ref. BD. Chaurasia 3rd/Vol. 2.)THE INGUINAL CANAL# It is an oblique canal about 4 cm. long, slanting downward and medial-ward, and placed parallel with and a little above the inguinal ligament.# It extends from the abdominal inguinal ring to the subcutaneous inguinal ring.# The inguinal canal contains the spermatic cord and the ilioinguinal nerve in the male, and the round ligament of the uterus and the ilioinguinal nerve in the female.Inguinal RingsDeep inguinal ring# Oval opening in transversalis fascia# Midway btw ASIS & symp pubis# margins give rise to int spermatic fascia# related med to inf epigastric vslsSupf Inguinal Ring# triangular opening in ext oblique aponeurosis# immediately above pubic tubercle & med end of ing lig# the opening extends superolat# base at pubic crest# crura margins give rise to ext spermatic fasciaWalls of CanalAnterior Wall# formed by apo of ext oblique reinforced along lat 1/3 by fibres of int oblique# strongest part lies oppo deep ringPosterior Wall# formed by fascia transversalis# reinforced along med 1/3 by conjt tendon strongest part lies oppo deep ringFloor# formed by ing lig & lacunar ligRoof# formed by the arching lowest fibres of int oblique & transversus abd muscles.Note: 1. The chief protection of the canal is muscular2. The muscles that produces intra-abd pressure tends to force abd viscera into canal, however at the same time they tend to narrow the canal & close the rings.